Which is not a contraindication for OPV?
1. Leukemia
2. Diarrhoea
3. Malignancy
4. Immunocompromised

Correct answer: 2. Diarrhoea

Explanation: OPV is a live attenuated vaccine. Children with inherited or acquired immunodeficiency and pregnant women should not receive OPV. It should be avoided in household contacts of immunodeficient patients, due to the risk of fecal -oral transmission of OPV strain. Dose, route - Two drops; oral Adverse reactions- Vaccine derived poliovirus; vaccine associated paralytic poliomyelitis Contraindications- Inherited or acquired immunodeficiency; symptomatic HIV Storage - 2-8degC; sensitive to heat; use vaccine l monitor